At 1 year of age, the number of carpal bones seen in skiagram of the hand is:
1. Nil
2. One
3. Two
4. Three

Correct answer: 3. Two

Explanation: Ans. Two